Melatonin is secreted from which cells of pineal gland
1. Glial cells
2. Pinealocytes
3. Oncocytes
4. Zymogen cells

Correct answer: 2. Pinealocytes

Explanation: The pineal gland is a Neuroendocrine Transducer as it forms and secretes a hormone called Melatonin in response to sympathetic nerve activity. It consists of parenchymal cells (Pinealocytes), glial cells (neuroglia), secretory cells and numerous post-ganglionic sympathetic nerve fibres from cells in the superior cervical ganglion. It contains high amounts of 5 HT (serotonin), Nor-epinephrine and melatonin. Melatonin is synthesized from 5 HT and norepinephrine by the parenchymal cells (pinealocytes).Ref: Textbook of physiology, Dir. Prof. AK Jain, 5th edition.